All are true about HMG CoA reductase inhibitors except-
1. The CNS accumulation of simvastatin and lovastatin is high and less for pravastatin and fluvastatin
2. Simvastatin is rapidly metabolised and pravastatin is least
3. Bioavailability is minimally modified when pravastatin is taken with food
4. Fibrinogen levels are increased by pravastatin

Correct answer: 4. Fibrinogen levels are increased by pravastatin

Explanation: Ans. is 'd' i.e., Fibrinogen levels are increased by provastatin o Fibrinogen levels are not increase but decreased by Provastatin. o Simvastatin and Lovastatin are lipophilic drugs therefore their CNS penetration is more than pravastatin and fluvastatin which are hydrophilic drugs. o All statins, except rosuvastatin and pravastatin are metabolized. o Absorption of the statins is enhanced by taking the dose with food, except for pravastatin whose absorption is only minimally affected.